Which of the following is a cardioselective β - blocker
1. Timolol
2. Metaprolol
3. Carvedilol
4. Propanolol

Correct answer: 2. Metaprolol

Explanation: Metaprolol is a selective β1 receptor blocker, hence cardioselective.
Note: Carvedilol is prefered in CHF cases even though its non selective β - blocker. Because it has additional anti-oxidant & anti-inflammatory property.